Vertical section of ramus of mandible is done in which condition:
1. Mandibular protrusion
2. Mandibular retrusion
3. Maxillary prognathism
4. Maxillary retrognathism

Correct answer: 1. Mandibular protrusion